A 56-year-old diabetic woman has recently been treated with a 2-week course of antibiotics for a skin infection. She returns to the clinic for follow-up with a new complaint of a "cottage cheese-like" vaginal discharge with significant vaginal itching. The most likely cause of these symptoms is
1. C. granulomatis.
2. C. albicans.
3. Chancroid.
4. Neisseria meningitidis.

Correct answer: 2. C. albicans.

Explanation: C. albicans is a major cause of vulvovaginitis. Patient presents with " cottage - cheese like" vaginal discharge. C. granulomatis causes granuloma inguinale. Chancroid results in painful genital ulcers and is caused by the organism H. ducreyi. HSV type 2 can cause genital vesicular lesions. N. meningitidis can cause meningitis.